a child has come with depressive symptoms and was started on anti depressent. which is the antidepressent used in children
1. clomipramine
2. fluoxetine
3. amitriptilline
4. escitaloprm

Correct answer: 2. fluoxetine

Explanation: SSRI * IMPORTANCE Most widely prescribed antidepressant * MECHANISM Specifically acts on serotonin transporters and increases serotonin in synapse. DRUGS FLUOXETINE FLUVOXAMINE DAPOXETINE CITALOPRAM ESCITALOPRAM ESCITALOPRAM SERTRALINE PAROXETINE USE FLUOXETINE=============CHILDHOOD DEPRESSION FLUVOXAMINE===========OCD DAPOXETINE==============PME ESCITALOPRAM===========HEART SAFE, PATHOLOGICAL EMOTIONS PAROXETINE=========SEDATING, PANIC DISORDER IMPULSE CONTROL DISORDERS PME PARAPHILIA SIDE EFFECTS Paradoxical SUICIDE, this is a type of suicide where an antidepressant used to treat depression and decrease suicide increase the chance of suicidal attempt ( IT'S A PARADOX). The explanation that is given is SSRI initially activates the patient and decreases fatigue, thus patients with low mood and suicidal ideas will have more energy to act on the ideas. GIT- thus it should not be given in an empty stomach SD- delays ejaculation. This mechanism is used for its prescription in patients with premature ejaculation ANXIETY INSOMNIA Ref. kaplon and sadock, synopsis of psychiatry, 11 th edition, 955